A major causal factor in some cases of hypogonadism is
1. Reduced secretion of gonadotropin-releasing hormone (GnRH)
2. Hypersecretion of pituitary LH and FSH as the result of increased GnRH
3. Excess secretion of testicular activin by Sertoli cells
4. Failure of the hypothalamus to respond to testosterone

Correct answer: 1. Reduced secretion of gonadotropin-releasing hormone (GnRH)

Explanation: Reduced secretion of GnRH will result in extremely low levels of circulating LH and FSH, causing testicular atrophy, as in Kallmann's syndrome.